Exclusive breastfeeding should be practiced at least until
1. 4 month
2. 6 month
3. 8 month
4. 10 month

Correct answer: 2. 6 month

Explanation: An infant should be exclusively breastfed until 6 months of age. During this age, additional food or fluid is not required as breast milk is nutritionally complete for the child's growth & development & it protects from infections and strengthens immune systemRef: Page 60; Ghai Essential Pediatrics; 7th edition